The mechanism of action of sodium nitroprusside is?
1. Increased cAMP
2. Increased guanylate cyclase
3. Calcium channel blockage
4. ICRT channel opener

Correct answer: 2. Increased guanylate cyclase

Explanation: Ans. is 'b' i.e., Increases Guanyl Cyclase oRT "Nitroprusside dilates both arterial and venous vessels, resulting in reduced peripheral vascular resistance and venous return. The action occurs as a result of activation of guanylyl cyclase, either release of nitric oxide or by direct stimulation of enzyme. The result is increased intracellular cGMP, which relaxes vascular smooth muscle".